Granulomatous inflammation is found in:
1. Crohn's disease
2. Ulcerative colitis
3. Amoebiasis
4. Giardiasis

Correct answer: 1. Crohn's disease

Explanation: - Non-caseating granulomatous inflammation is seen in crohn's disease Important points about Crohn's disease are: S - Skip lesions ; Cobble stone appearance I - Ileum (MC affected site) S - Saccharomyces cerevisae antibody T - Transmural granulomatous inflammation E - Extra fibrosis - strincture & fistula formation; creeping fat R - Radiological sign- String sign of Kantor, Rectum is usually spared.